Otospongiosis is inherited as -
1. Autosomal dominant
2. Autosomal recessive
3. X- linked dominant
4. X- linked recessive

Correct answer: 1. Autosomal dominant

Explanation: The exact etiology of otosclerosis is not known. In otosclerosis family history/heredity plays an important role. About 50% of patients of otosclerosis have a positive family history.

It is an automosal dominant conditionQ
Shows incomplete penetranceQ and variable expressionQ

Also Remember:      It may be associated with Vander Hoeve syndrome